The infection from a lower third molar pericoronal
area spreads mostly to ____________ space
1. Submandibular
2. Submental space
3. Pterygomandibular
4. Buccal space

Correct answer: 3. Pterygomandibular